Not a risk factor for primary Angle closure glaucoma among the following
1. Female gender
2. Small eyeball
3. Myopia
4. Type A personality

Correct answer: 3. Myopia

Explanation: Hypermetropia is a risk factor for primary Angle closure glaucoma not myopia.